Best test for assessment of iron status is -
1. Transferrin
2. Ferritin
3. Serum iron
4. Hemoglobin

Correct answer: 2. Ferritin

Explanation: In the development of anemia , firstly storage iron(ferritin) depletion occurs during which iron reserves are lost without compromise of the iron supply for erythropoiesis. So it is the best test for assessment of iron status .

Reference :Harsh mohan textbook of pathology sixth edition pg no 299